Safety officer is appointed in factories when no of  workers are
1. > 500
2. > 1000
3. > 1500
4. > 2000

Correct answer: 2. > 1000